A 19-yrs-old woman desires an MTP at 6 weeks of pregnancy . Which of the following is an appropriate procedure to perform this MTP ?
1. Dilation and curretage
2. Hypertonic extra-amniotic saline infusion
3. Suction and evacuation
4. 15-methyl Beta-prostaglandin injection

Correct answer: 3. Suction and evacuation

Explanation: In the given case choices, suction and evacuation is the preferred technique for first trimester abortions. Medical methods like Mifepristone followed by misoprostal can be used and its 99% effective in the first 7 weeks of pregnancy. Would have been a better answer if it was mentioned in the choices here Dilation and curettage- can be done but since there is curettage involved, there is an inherent risk of Asherman's syndrome.Hence avoided for such early gestation Hypertonic saline infusion-Though not in regular use in most hospitals due to concerns of Amniotic Fluid embolism, its done for second trimester abortion. Prostaglandins - done for termination of pregnancy > 12 weeks Pregnancy gestation where its the drug of choice.